All are the powers of high court except
1. It can try any offence
2. Pass any sentence prescribed by law
3. Court of final appeal
4. Court of appeal against a lower court order

Correct answer: 3. Court of final appeal

Explanation: powers of high court it can try any offence Pass any sentence prescribed by law Court of appeal against a lower court order Ref: FORENSIC MEDICINE AND TOXICOLOGY Dr PC IGNATIUS THIRD EDITION PAGE 10